Stellate shaped granuloma is seen in?
1. Sarcoidosis
2. Cat scratch
3. Crohn's disease
4. Tuberculosis

Correct answer: 2. Cat scratch

Explanation: Necrotising noncaseating granulomas are present in cat Scratch disease caused by Bartonella Henselae. The granulomas show stellate microabscess surrounded by palisading histiocytes.